Punishment for culpable homicide not amounting to murder is dealt under:
1. Sec. 299 IPC
2. Sec. 300 IPC
3. Sec. 302 IPC
4. Sec. 304 IPC

Correct answer: 4. Sec. 304 IPC

Explanation: Ans. Sec. 304 IPC